Actinomycosis is a
1. Aerobic bacterial disease
2. Anaerobic bacterial disease
3. Aerobic fungal disease
4. Anaerobic fungal disease

Correct answer: 2. Anaerobic bacterial disease